Most common site of injury in under water blast:
1. Tympanic membrane
2. GIT
3. Liver
4. Lung

Correct answer: 2. GIT

Explanation: Ans. GIT